Which of the following enzymes is stable at acidic pH
1. Pepsin
2. Trypsin
3. Chymotrypsin
4. Carboxypeptidase

Correct answer: 1. Pepsin

Explanation: Optimum pH for Pepsin- 1.6-3.2